All of the following are true regarding acute gouty arthritis, EXCEPT:
1. Allopurinol is effective to treat the acute attack
2. MSU crystals are needle shaped and negatively birefringent
3. Serum uric acid levels can be normal or low at the time of an acute attack
4. Tophi are made up of monosodium urate crystals (MSU)

Correct answer: 1. Allopurinol is effective to treat the acute attack

Explanation: Acute attack of Gout, Uric acid levels may be even low. Rx- NSAIDS and or Colchicine Allopurinol has no role in the treatment of acute gout. Gout Pseudogout Accumulation Mono Sodium Urate (MSU) crystals Calcium Pyrophosphate dihydrate (CPPD) Etiopathogenesis Reduced excretion of uric acid or excessive formation Excessive breakdown of ATP - pyrophosphate - bind with calcium - Hyaline cartilages are affected most commonly Joint involved 1st metatarso phalangeal Knee Knee Needle Rhomboid Appearance of crystal on polarized light Negative birefringence Positive birefringence